Pre-menstrual fullness in breast in 21 years old unmarried female is-
1. Galactocele
2. Fibroadenoma
3. Fibroadenosis
4. Breast cancer

Correct answer: 3. Fibroadenosis